A patient comes with non-productive cough, hemoptysis and grade III clubbing, Chest X-ray shows upper left zone lesion. The likely cause is -
1. Small cell carcinoma lung
2. Non-small cell carcinoma lung
3. Tuberculosis
4. Fungal infection of lung

Correct answer: 2. Non-small cell carcinoma lung